In a Village of 10,000 population, there are 500 total births and 400 total live births in a year. In that year there were 24 Infant deaths and 8 maternal deaths. IMR will be:-
1. 2.4
2. 24
3. 48
4. 60

Correct answer: 4. 60

Explanation: MCC of IMR India - LBW & prematurity. IMR of India - 33. IMR is a rate. IMR is the best indicator of availability of health services, utilization of health services, effectiveness of health services in given community.